Burking includes
1. Choking
2. Ligature
3. Overlaying
4. Traumatic asphysia

Correct answer: 4. Traumatic asphysia

Explanation: Burking is a method of homicidal smothering & traumatic asphyxia. Named after Burke & Hare who killed 16 persons. They give the victim alcohol. Then Burke used to kneel or sit on the chest and close the nose & mouth with his hands then Hare used to pull him around the room by the feet. Ref: The synopsis of forensic medicine & Toxicology 28th edition pg:190